Conversion of one nucleus into another was first demonstrated in 1919 by __________.
1. Rutherford
2. Curie
3. Henry bequral
4. Roentgen

Correct answer: 1. Rutherford

Explanation: Ernest Rutherford is known as the father of nuclear physics. He discovered the concept of radioactive half-life, proved that radioactivity involved the transmutation of one chemical element to another, and also differentiated and named alpha and beta radiation. Henri Becquerel - discoverer of radioactivity. Marie Curie discovered Radium and Polonium, Coined the term "radioactivity".